Highest chance of success in renal transplant is possible when the donor is:
1. Father
2. Mother
3. Twin
4. Son

Correct answer: 3. Twin

Explanation: Ans. C: Twin Isograft is a subset of allografts in which organs or tissues are transplanted from a donor to a genetically identical recipient (such as an identical twin). Isografts are differentiated from other types of transplants because while they are anatomically identical to allografts, they don't trigger an immune response.